Phosphofructokinase-1 occupies a key position in regulating glycolysis and is also subjected to feedback control. Which among the following is the allosteric activators of phosphofructokinase-1?
1. Fructose 2, 3 bisphosphate
2. Fructose 2, 6 bisphosphate
3. Glucokinase
4. PEP

Correct answer: 2. Fructose 2, 6 bisphosphate

Explanation: The most potent positive allosteric activator of phosphofructokinase-1 and inhibitor of fructose 1,6-bisphosphatase in the liver is fructose 2,6-bisphosphate. It relieves inhibition of phosphofructokinase-1 by ATP and increases the affinity for fructose 6-phosphate. It inhibits fructose 1,6-bisphosphatase by increasing the Km for fructose 1,6-bisphosphate. Its concentration is under both substrate (allosteric) and hormonal control (covalent modification). Phosphofructokinase-1 is inhibited by citrate and by normal intracellular concentrations of ATP and is activated by 5' AMP. Ref: Bender D.A., Mayes P.A. (2011). Chapter 20. Gluconeogenesis & the Control of Blood Glucose. In D.A. Bender, K.M. Botham, P.A. Weil, P.J. Kennelly, R.K. Murray, V.W. Rodwell (Eds), Harper's Illustrated Biochemistry, 29e.